Antibiotics recommended for treatment of bacterial vaginosis according to CDC include all except
1. Clindamycin
2. Erythromycin
3. Metronidazole
4. Tinidazole

Correct answer: 2. Erythromycin

Explanation: Erythromycin is not included in regimens for treatment of bacterial vaginosis.